_______________ is the major excitatory neurotransmitter in the brain.
1. Ach
2. Aspartate
3. GABA
4. Glutamate

Correct answer: 4. Glutamate

Explanation: Glutamate is the major excitatory neurotransmitter; 60% of brain synapses are glutamatergic. GABA is the major inhibitory neurotransmitter and can be localized by using glutamic acid decarboxylase as a marker. A delta fibers which carry sharp pricking pain also release Glutamate.